Risk factors for PPH are all except:
1. Macrosomia
2. Twin pregnancy
3. Nuliparity
4. Previous H/O PPH

Correct answer: 3. Nuliparity

Explanation: Ans. is c, i.e. NulliparityRef. JB Sharma Obs Pg 335Risk factors for PPHRisk factors for postpartum hemorrhageFactors in historyAntepartum factorsIntrapartum factorsMiscellaneous causes* Advanced maternal age* Overdistended uterus- Multiple pregnancy- Large-sized fetus- Polyhydramnios* Induction of labor* Sepsis* Multiparity, anemia, malnutrition* Antepartum haemorrhage* Prolonged labor * Previous PPH* Chorioamnionitis* Precipitate labor * Previous placenta previa or accrete* Instrumental delivery, operative manipulations* Bleeding and coagulation disorders* Rupture uterus* Fibroid uterus* Genital tract trauma* Non judicious use of oxytocics, sedatives, etc.